First systemic fluoride electrode is given by?
1. Shyler and Armstrong
2. Frant and Ross 1966
3. Estrond 1970
4. Duck and Morgan 1970

Correct answer: 2. Frant and Ross 1966